Horizontal acceleration with forward movement in the sagittal plane is detected by ?
1. Macula of Utricle
2. Macula of Saccule
3. Lateral semicircular canal
4. Posterior semicircular canal

Correct answer: 1. Macula of Utricle

Explanation: Ans. is 'a' i.e., Macula of utricle